Synaptic transmission in the autonomic ganglion is usually
1. Adrenergic
2. peptidergic
3. Cholinergic
4. Mediated by substance P

Correct answer: 3. Cholinergic

Explanation: Ref:KD Tripathi pharmacology 7th edition (page.no: 121) Katzung 10/e p76 Acetylcholine is the primary excitatory neurotransmitter in both sympathetic and parasympathetic ganglia Other adrenergic , peptidergic receptors bring secondary , slowly developing changes in membrane potential in ganglia